The most important source of infection for meningococci -
1. Case
2. Subclinical case
3. Carriers
4. Latent case

Correct answer: 3. Carriers

Explanation: Ans. is 'c' i.e., Carriers Transmission of meningococci The human nasopharynx is the only reservoir of meningococcus. Carriers are the most important source of infection not the clinical cases. Meningococcal meningitis is common in children between 3 months to 5 yrs. Out of 13 serogroup group 'A', B and 'C' are most important group 'A' meningococcus is associated with epidemics and group C mostly with localised outbreaks, while group B causes both epidemics and outbreaks. Group 29-E, W-135 and Y also frequently cause meningitis. Drug of choice for chemoprophylaxis is rifampicin (Penicillin is unable to eradicate carrier state).